All except one results in increased secretion of Renin
1. Renal ischaemia
2. Decreased amount of Na+ in DCT
3. Decreased amount of Na+ in PCT
4. Narrowing of afferent arterioles

Correct answer: 3. Decreased amount of Na+ in PCT

Explanation: Renin release is stimulated by

Reduced Na+ in macula densa in distal tubule.
Decreased GFR- Renal ischemia, afferent arteriolar constriction.